Man is the primary host for which poxvirus?
1. Monkey pox
2. Orf
3. Tanapox
4. Molluscum contagiosum

Correct answer: 4. Molluscum contagiosum

Explanation: Ans. is 'd' i.e., Molluscum contagiosum (Ref: Ananthanarayan, 8th/e, 461)* Pox viruses affecting primarily human are Variola, Vaccinia and Molluscum contagiosum.* Monkey pox - Its primary host are rodents.* Orf - Its primary host is Sheep - Human infections are rare.* Tanapox - Its primary host are Monkeys - Human infections are rare.